All are features of an ideal homicidal poison except
1. Cheap and easily available
2. Can be easily administered with food, drink or medicine
3. Appropriate antidote easily available
4. Will be destroyed in the body easily

Correct answer: 3. Appropriate antidote easily available

Explanation: Criteria for an ideal homicidal poison cheap and easily available Colorless, odorless, tasteless Can be easily administered with food, drinks or medicine Highly toxic and will be certain in action Signs and symptoms will appear late giving the culprit scope to escape Will stimulate a disease process without arousing any suspicion Appropriate antidote will not be available No specific postmortem findings No proper chemical test available Will be destroyed in the body easily Ref: FORENSIC MEDICINE AND TOXICOLOGY Dr PC IGNATIUS THIRD EDITION PAGE 399